By the Factory Act the age for the child to work should minimum be (in years)
1. 14
2. 16
3. 18
4. 21

Correct answer: 1. 14

Explanation: Ans. a (14). (Ref. Park, PSM, 17th/pg.586)According to the Factory Act children below the age of 14 years should not work.FACTORY ACT- 1948Applicable towhole India except Jammu & Kashmir.Scope# Establishment >10 workers where power is used and > 20 where power is not used.# Minimum 500 Cu.ft of space for each worker.# Factories before 1948 minimum 350 Cu.ft.# Prohibit employment <14 years.# 15 to 18 yrs old are called adolescents and they should be duly certified by certifying surgeon. They are allowed to work only between 6 am to 7 pm.Hours of workMax 48 hours/week, Including overtime its 60 hours/week.Leave with wagesafter 12 months of continuous service- adult 1 day for 20 days of work, children 1 day for 15 days.Maximum accumulated leave# adult 30 days; Children 40 days.Notifiable diseasesAsbestosis,Byssinosis,Dermatitis (occupational), andNoise induced hearing loss.Officerssafety officer - > 1000 workers, welfare officer- >500 workers canteen > 250 workers. Creches - > 30 female workers.